Keratoconus is defined as:
1. Degeneration of conjunctiva
2. Cornea undergoes necrosis due to vitamin A deficiency
3. Cornea thins near the centre & bulges forwards
4. Recurrent corneal ulcerations of cornea

Correct answer: 3. Cornea thins near the centre & bulges forwards

Explanation: Ans. C i.e. Cornea thins near the centre & bulges forwards